7 year old child presented with fever, bleeding gums and fatigue for 4 days. On examination, she had splenomegaly. CBC shows Hb of 6gm%, TLC 75,000/HL, Platelet count 35,000 / HL. Bone marrow aspiration showed these cells as comprising 50% of marrow cells. What is the diagnosis?
1. Infectious mononucleosis
2. Acute leukemia
3. Myelofibrosis
4. Juvenile CML

Correct answer: 2. Acute leukemia

Explanation: Image shows, Blast cells. These Blast cells makes more than 50% of bone marrow aspirate. It suggests Acute leukemia.